Steeple sign is seen in ?
1. Acute epiglottis
2. Laryngotracheobronchitis (croup)
3. In both cases
4. None of above

Correct answer: 2. Laryngotracheobronchitis (croup)

Explanation: Ans. is 'b' i.e., Laryngotracheobronchitis (croup)